Investigation of choice to diagnose congenital hip dislocation in neonates?
1. Plain radiographs
2. US
3. CT
4. MRI

Correct answer: 2. US

Explanation: Ans BIn neonates the femoral head is cartilaginous and not ossified hence it cannot be identified on radiographs but well demonstrated on USG. Also the Graf's classification using Alpha and Beta angles are very definitive in assessment and can be readily calculated on USG.